True statement regarding follicular cell carcinoma of thyroid:
1. Hematogenous spread
2. Commonly multifocal
3. Readily diagnosed by FNAC
4. Most common carcinoma of thyroid

Correct answer: 1. Hematogenous spread

Explanation: (Refer: Robbins Pathologic Basis of Disease, 8thedition, pg no: 1120-1124)
Histological variants of Thyroid Carcinoma